Rigor mortis first seen in
1. Heart
2. Neck
3. Limbs
4. Eyelids

Correct answer: 1. Heart

Explanation: The Order of Appearance of Rigor: - * All muscles of the body, both voluntary and involuntary are affected. * But it does not start in all muscles simultaneously Nysten's rule: - * It first appears _in involuntary muscles; the myocardium becomes rigid in an hour. * Then it develops in eyelids, neck and lower jaw and passes upwards to the muscles of the face, and downwards to the muscles of the chest, upper limbs, abdomen and lower limbs and lastly in the fingers and toes. Ref:- Essentials of Forensic medicine Dr KS narayana Reddy 33th Edition;